19 years old girl has multiple papulo pustular erythematous lesions on face and neck, the likely diagnosis is
1. Acne rosacae
2. Acne Vulgaris
3. Pityriasis Versicolour
4. Lupus Vulgaris

Correct answer: 2. Acne Vulgaris

Explanation: B i.e. Acne Vulgaris